All of the following are true about Irinotecan except
1. It is a Topo-isomerase II inhibitor
2. It is excreted though liver
3. It is used for colorectal cancer
4. It can cause diarrhoea because of cholinergic property

Correct answer: 1. It is a Topo-isomerase II inhibitor

Explanation: Irinotecan & Topotecan are Topoisomerase-I inhibitors.
Etoposide & Teniposide are Topoisomerase-II inhibitors.